Inferior meatus drains
1. Nasolacrimal duct
2. Frontal sinus
3. Posterior ethmoidal sinus
4. Maxillary sinus

Correct answer: 1. Nasolacrimal duct